An open wound contracts by
1. Stretching of surrounding tissues
2. Epithelial growth
3. Skin grafting
4. Fibroblast proliferation

Correct answer: 4. Fibroblast proliferation

Explanation: Direct quote: "Perhaps the feature that most clearly differentiates primary from secondary wound healing is the phenomenon of wound contraction. The initial steps of contraction involve the formation of a network of acting containing fibroblasts at the edge of the wound. Permanent wound contraction requires the action of myofibroblasts. Contraction of these cells at the wound site decrease the gap between the dermal edges of the wound". Also, Know Classification of wound healing By primary intention Wound edges opposed. Normal healing, Minimal scar By secondary intention Wound left open. Heals by granulation wound contraction and epithelialization. Increased inflammation of proliferation Poor scar By tertiary intention (also called delayed primary intention) Wound initially left open. Edges later opposed when healing conditions favorable. Ref: Robbin's Pathology, 9th edn. Pg. 113, Bailey Love's, 25th edn. Pg. 25, Summary Box 3.2.